In Peutz-Jeghers syndrome, the oral lesions are
1. Ulcerations of oral mucosa
2. Sebaceous glands of oral mucosa
3. Silver pigmentation of oral mucosa
4. None of the above

Correct answer: 4. None of the above